Siblings of the diagnosed patient with Wilson disease will be having what risk of Wilson disease?
1. 25%
2. 50%
3. 75%
4. 100%

Correct answer: 1. 25%

Explanation: The frequency of Wilson's disease in most populations is about 1 in 30,000. Siblings of a diagnosed patient have a 1 in 4 risk of Wilson's disease. Reference: Harrisons Principles of Internal Medicine, 18th Edition, Page 3188